Largest branch of brachial plexus is
1. Ulnar
2. Medial
3. Radial
4. Axillary

Correct answer: 3. Radial

Explanation: Ans. is 'c' i.e., Radial Radial nerve is the largest branch of brachial plexus and is the continuation of posterior cord (root value C5_8 T1).